False about chronic osteomyelitis
1. RIM sign on MRI
2. Leads to Amyloidosis
3. Ciemy  and mader classification
4. Negative pressure wound therapy uses a pressure of -60 mmHg

Correct answer: 4. Negative pressure wound therapy uses a pressure of -60 mmHg

Explanation: Negative pressure wound therapy / vaccum assisted closure uses pressure between -75 to -125 mmHg